False statement concerning the diagnosis and management of retroperitoneal fibrosis include ?
1. Most patients present with dull, non-colicky back, flank, or abdominal pain
2. Evidence of impaired renal function with an elevated blood urea nitrogen is common
3. The diagnosis is most commonly suggested by intravenous pyelography although contrast studies with CT scan or MRI are useful in further defining the disease
4. The prognosis for nonmalignant retroperitoneal fibrosis is grim with progression of disease until death occurring in most patients

Correct answer: 4. The prognosis for nonmalignant retroperitoneal fibrosis is grim with progression of disease until death occurring in most patients

Explanation: Ninety percent of patients with retroperitoneal fibrosis present with dull, non-colicky pain in the back, flank, or abdomen. Diagnosis is most commonly suggested by intravenous pyelography. The combination of medial deviation of the ureter, hydroureteronephrosis, and extrinsic ureteral compression are highly suggestive of retroperitoneal fibrosis. CT scanning or MRI can both define the level of ureteral involvement and depict the mass appearance of the fibrotic process. Exploratory laparotomy with multiple deep biopsies of the retroperitoneal process is an essential part of diagnosis, since foci of carcinoma may be sparse within the predominately sclerotic reaction. Prognosis for patients with non malignant retroperitoneal fibrosis is good. Survivals of 86-100% for several years have been reported.